Serial interval is
1. Interval between primary and secondary case
2. Interval between first case and last case
3. Interval between primary case and all subsequent cases multiplied by secondary attack rate
4. Interval between incubation period and gestational period

Correct answer: 1. Interval between primary and secondary case

Explanation: The gap in the time interval between the onset of primary case and the secondary case is known as serial interval. By collecting information about a whole series of such onset we get a distribution of secondary cases from which we can guess the incubation period of disease ( refer pg 100, park 23 rd edition )